The key enzyme in urea synthesis is -
1. Urease
2. Carbamoyl phosphate synthase-I
3. Arginase
4. Ornithine

Correct answer: 2. Carbamoyl phosphate synthase-I